Which of the vitamin deficiency lead to lactic acidosis
1. Riboflavin
2. Thiamine
3. Niacin
4. Pantothenic acid

Correct answer: 2. Thiamine

Explanation: Ans. B. ThiamineThiamine Deficiency Causes:a. Wet beriberii. Presents primarily with cardiovascular symptoms, due to impaired myocardial energy metabolism and dysautonomia, and can occur after 3 months of a thiamine-deficient diet.ii. Patients present with an enlarged heart, tachycardia,iii. High-output congestive heart failure, peripheral edema, and peripheral neuritis.b. Dry beriberii. Present with a symmetric peripheral neuropathy of the motor and sensory systems with diminished reflexes.ii. The neuropathy affects the legs most markedly, and patients have difficulty rising from a squatting position.c. Wernicke's encephalopathy/ consisting of horizontal nystagmus, ophthalmoplegia (due to weakness of one or more extraocular muscles), cerebellar ataxia, and mental impairment.d. Korsakoff psychosis. When there is an additional loss of memory and a confabulatory psychosis, the syndrome is known as Wernicke-Korsakoff syndrome.Prolonged Thiamin (Vitamin B1 ) deficiency, Leads to lactic acidosis